Heparin is the commonly used anticoagulant in cardiac surgery. All of the following are true about heparin except
1. Weakest acid found in living beings
2. Most commercial preparations of heparin are derived from pig intestine
3. Acts antithrombin activation
4. Produce thrombocytopenia

Correct answer: 1. Weakest acid found in living beings

Explanation: Refer KDT 6/e p 597 Heparin is the strongest organic acid found in human being It acts by activating AT-3 that inhibits factor CA and 2a Most commercial preparations of heparin are derived from ox lung and pig intestine